The main ingredient in dental plaster is:
1. Calcium sulphate hemihydrate
2. Calcium phosphate
3. Calcium anhydrate
4. Calcium sulphate dihydrate

Correct answer: 1. Calcium sulphate hemihydrate